A patient has a miotic pupil, LOP = 25, normal anterior chamber, hazy cornea and a shallow anterior chamber in fellow eye. Diagnosis is:
1. Acute anterior uveitis
2. Acute angle closure glaucoma
3. Acute open angle glaucoma
4. Senile cataract

Correct answer: 1. Acute anterior uveitis

Explanation: A i.e. Acute Anterior uveitis Acute anterior uveitis presents with - usually normal intra-ocular pressure, deep anterior chamber with miotic sluggishly reacting pupil and hazy cornea due to K.P.'s.Q where as Acute congestive glaucoma present with markedly raised IOP, very shallow anterior chamber, oval dilated (mydriatic) non reacting pupil and hazy cornea due to oedema Q Now, the patient in Q has following findings in Diseased Eye Fellow Eye - Miotic pupil - Shallow anterior - IOP = 25 chamber - Normal anterior chamber - Hazy cornea As the fellow eye is normal; it means that the shallow anterior chamber is a normal depth of anterior chamber in this patient. And normal appearing anterior chamber in diseased eye is in fact deep. So the diagnosis is Ac. Anterior uveitis.